Venous air embolism is most common in which position in surgery -
1. Sitting
2. Prone
3. Lateral
4. Lithotomy

Correct answer: 1. Sitting

Explanation: Ans, is 'a' i.e., Sitting o Venous air embolism is a potential hazard whenever the operative site is above the level of patients heart,o The 'sitting' position and its modification "beach chair" positions are associated with a greater incidence of venous air embolism.